Which of the following represent Fetal Haemoglobin (HBF)-
1. Alpha2Beta2
2. Alpha 2 Gamma 2
3. Alpha 2 delta 2
4. Delta 4

Correct answer: 2. Alpha 2 Gamma 2

Explanation: Ans. 'b' i.e., Alpha2 Gamma2 Fetal Hemoglobin is represented bv Alpha-2: Gamma-2 Hemoglobin chainsHemoglobinHemoblobm ChainsNormal Ad utt ValuesFetal Hemoglobin (HBF)a2g2 {Alpha 2 Gamma 2)< 2percent of Total adult HBAdult Haemoglobin (HB A)a2b2 (Alpha 2 Beta 2)- 96 percent of Total Adult HBAdult Hemoglobin (HBA,)a2d2 (Alpha2 Delta2)< 3.5perent of Total Adult HBHemoglobinBartsg4(Gamma 4)Nil